Actinomycosis is sensitive to ?
1. Streptomycin
2. Nystatin
3. PenciIlin
4. Iodox - uridine

Correct answer: 3. PenciIlin

Explanation: Ans. is 'c' i.e., Pencillin